Probencide interacts with
1. Streptomycin
2. Ampicillin
3. Vancomycin
4. Erythromycin

Correct answer: 2. Ampicillin

Explanation: Interaction of probeecid Competitively blocks active transport of organic acids at all sites especially renal tubules. it inhibits excretion of penicillin or ampicellin and increases its blood level It also inhibits urinary excretion of cephalosporins, sulfonamides, methotrexates and indomethacin. It enables tubular secretion of nitrofurantoin Salicylates, pyrazinamide and ethambutol inhibit uricosuric action of probeecid It inhibits biliary excretion of rifampicin Refer kDT 6/e p209